Which of the following is true regarding the trophozoite of E. histolytica?
1. Has eccentric karyosomes
2. Presence of bacteria inside
3. Has four nuclei
4. Shows erythrophagocytosis

Correct answer: 4. Shows erythrophagocytosis

Explanation: Ans. (d) Shows erythrophagocytosis Differntial features of intestinal entamoede Features E. histolytica E. hartmanni E. coli Trophozoite Size (pm) 12-60 4-12 20-50 Motility Motility Active Sluggish Pseudopodia Finger shaped, rapidly extruded Finger shaped, rapidly extruded Short, blunt, slowly extruded Cytoplasm Clearly defined into endoplasm and ectoplasm Clearly defined into ectoplasm and endoplasm Not defined Inclusions Red blood cells present, no bacteria Bacteria and other particles, no red blood cells Bacteria and other particles, no red blood cell Nucleus Not clearly visible in unstained films; It is eccentric Not clearly visible in unstained films Visible in unstained films Karyosome Small, central Small, eccentric Large, eccentric Differntial features of intestinal entamoede Features E. histolytica E. hartmanni E. coli Nuclear membrane Delicate, with fine chromatin dots Coarse chromatin granules Thick, with coarse chromatin Cyst Size (pm) 10-15 5-10 10-30 Nuclei in mature cyst 4, central karyosome 4 8, eccentric karyosome Glycogen mass Seen in uninucleate, but not in quadrinucleate stage Seen in uninucleate, but not in quadrinucleate stage Seen upto quadrinucleate stage Chromatidial bars 1-4, with rounded ends Often numerous, shape irregular Splinter like with angular ends